A plain abdominal X-ray in a patient with a sigmoid volvulus will show a distended bowel loop with its apex in
1. Right iliac fossa
2. Left iliac fossa
3. Lt. hypochondrium
4. Rt. Hypochondrium

Correct answer: 4. Rt. Hypochondrium

Explanation: Plain Xray abdomen finding in Sigmoid Volvulus 1. Characteristic bent inner tube or coffee bean appearance with convexity of loop lying in the right upper quadrant (opposite to the site of obstruction) 2. Contrast study (gastrografin enema) - bird beak appearance i.e. narrowing at the site of voivulus.